A medical student of normal body weight comes with parotid abscess and dental caries. She gets irritated on enquiring about her eating habits. What is the most probable diagnosis?
1. Adjustment disorder
2. Bulimia
3. Anorexia Nervosa
4. Conversion reaction

Correct answer: 2. Bulimia

Explanation: Common eating disorders include anorexia nervosa, bulimia nervosa, and binge-eating disorder. Bulimia nervosa is characterized by recurrent and frequent episodes of eating unusually large amounts of food and feeling a lack of control over these episodes. This binge-eating is followed by behavior that compensates for the overeating such as forced vomiting, excessive use of laxatives or diuretics, fasting, excessive exercise, or a combination of these behaviors. Anorexia nervosa is characterized by emaciation, a relentless pursuit of thinness and unwillingness to maintain a normal or healthy weight, intense fear of gaining weight, distorted body image, a self-esteem that is heavily influenced by perceptions of body weight and shape, or a denial of the seriousness of low body weight, lack of menstruation among girls and women, extremely restricted eating. With binge-eating disorder a person loses control over his or her eating. Unlike bulimia nervosa, periods of binge-eating are not followed by purging, excessive exercise, or fasting. As a result, people with binge-eating disorder often are over-weight or obese. Adjustment disorder occurs when an individual is unable to adjust to or cope with a particular stressor, like a major life event. Conversion disorder is where patients suffer from apparently neurological symptoms, such as numbness, blindness, paralysis, or fits, but without a neurological cause.